Percutaneous transmission of HIV
1. 3%
2. <1%
3. 3-5%
4. >5%

Correct answer: 2. <1%